All of the following are features of Argyll Robertson pupil, EXCEPT:
1. There is no reaction to light
2. Accommodation reflex is intact
3. Pupils dilate very poorly to mydriatics
4. Vision of the affected eye is diminished

Correct answer: 4. Vision of the affected eye is diminished

Explanation: Argyll Robertson pupil occur in neurosyphilis and is characterised by a lesion in the tectum. The lesion is in the region of the sylvian aqueduct when the fibers from the pretectal nucleus go to the Edinger Westphal nucleus. In this condition the vision of the affected eye is normal. Features: Vision of the affected eye is normal There is no reaction to light Accommodation reflex is intact because the fibers that mediate the pupillary near response lie ventral to the internuncial neurons that enter the Edinger Westphal nucleus. The pupils are miotic and irregular The pupils dilate very poorly with mydriatics Ref: Textbook of Ophthalmology edited by Sunita Agarwal PAGE 305.